Commonest cause of death in ectopic pregnancy
1. Bowel obstruction
2. Hemorrhage
3. Infection
4. None of the above

Correct answer: 2. Hemorrhage

Explanation: Ans) b (Hemorrage) Ref Williams 22nd ed page 255Hemorrhage is the most common cause of death in ectopic pregnancy